Cholera toxin acts by -
1. Na ATPase inhibition
2. Adenylate cyclase stimulation
3. Opening of chloride channel
4. Stimulation of Ca' channel

Correct answer: 2. Adenylate cyclase stimulation

Explanation: Ans. is `b' i.e., Adenylate cyclase stimulation